Shorest acting beta blocker -
1. Esmolol
2. Nodalol
3. Acebutolol
4. Sotalol

Correct answer: 1. Esmolol

Explanation: Ans. is 'a' i.e., Esmolol o Nodalol is longest acting b-blocker.o Esmolol is shortest acting b-blocker.o Acebutolol possesses all activities i.e., cardioselectivity, partial agonist activity, membrane stablizing activity and lipid insolubility.